A study comparing the behavioral and developmental changes in a normal brain with a damaged brain is:
1. Neuropsychology
2. Neurodevelopmental psychology
3. Child psychology
4. Criminal psychology

Correct answer: 1. Neuropsychology

Explanation: Ans. a. Neuropsychology (Ref: www.wikipedia.org/Neuropsychology)A study comparing the behavioral and developmental changes in a normal brain with a damaged brain is Neuropsychology.'Clinical neuropsychology is the application of neuropsychological knowledge to the assessment, management, rehabilitation of the people who have suffered illness or injury (particularly to the brain), which has caused neurocognitive problems.'NeuropsychologyNeuropsychology studies the structure and function of the brain as they relate to specific psychological processes and behaviours.The term neuropsychology has been applied to lesion studies of brain in humans.Clinical neuropsychology is the application of neuropsychological knowledge to the assessment, management, rehabilitation of the people who have suffered illness or injury (particularly to the brain), which has caused neurocognitive problems.